The most esthetic restorative option for carious primary incisors is:
1. Unbonded strip crown
2. Dura crown
3. Nu-Smile Crown
4. Bonded strip crown

Correct answer: 4. Bonded strip crown

Explanation: The most esthetic restorative option for carious primary incisors is the bonded strip crown.

This is the first choice of many clinicians due to the superior esthetics and the ease of repair, if the crown should subsequently chip or fracture.
This is, however, the most technique-sensitive option.
Hemorrhage or saliva on the tooth will interfere with the bond, and hemorrhage can interfere with the shade or color of the material.
Adequate tooth structure must remain after caries removal to ensure sufficient surface area for bonding.

Classification
a) Crowns that are luted to the tooth
1) Resin veneered stainless steel crown
2) Facial cut out crown
3) Polycarbonate crown
4) Pedo pearls
b) Crowns that are bonded to the tooth
1) Strip crowns
2) Pedo jacket crowns
3) New millennium crowns